RET gene mutation is associated with which malignancy-
1. Pheochromocytoma
2. Medullary carcinoma thyroid
3. Lymphoma
4. Renal cell carcinoma

Correct answer: 2. Medullary carcinoma thyroid

Explanation: Harshmohan textbook of pathology 7th edition. RET gene is a proto oncogene normally code for RET receptor . If point mutation happens it produces Multiple endocrine neoplasia type 2A and type 2B , medullary carcinoma of thyroid. .